Large bilateral painless effusions of the knees occurring in late congenital syphilis in patients between ages 8 to 18 are designated as:
1. Clutton's joints
2. Ramsey's joints
3. Charcot's joints
4. Mercer's joints

Correct answer: 1. Clutton's joints

Explanation: Ans. A. Clutton's jointsLate congenital syphilis is that which remains untreated after 2 years of age. In 60% of cases, the infection remains subclinical; the clinical spectrum in the remainder of cases differs in certain respects from that of acquired late syphilis in the adult. For example, cardiovascular syphilis rarely develops in late congenital syphilis, whereas interstitial keratitis is much more common and occurs between the ages of 5 and 25. other manifestations include eighth-nerve deafness and recurrent arthropathy. Bilateral knee effusions are known as Clutton's joints. Asymptomatic neurosyphilis is present in about one-third of untreated patients, and clinical neurosyphilis occurs in one-quarter of untreated individuals >6 years old. Gummatous periostitis occurs between the ages of 5 and 20 and, as in nonvenereal endemic syphilis, tends to cause destructive lesions of the palate and nasal septum.